Nitroglycerine exerts beneficial effect in classical angina pectoris primarily by
1. Increase in total coronary blood flow
2. Redistribution of coronary blood flow
3. Reduction of cardiac preload
4. Reduction of cardiac afterload

Correct answer: 3. Reduction of cardiac preload

Explanation: nitrates are vasodilators mainly acting on the veins only. hence they are venous dilators therefore decrease the preload on the heart where as arterial dilators like hydralazine decrease the after load. Ref: KD Tripathi 8th ed.